Which among the following is contraindicated in a myasthenic patient ?
1. Aminoglycosides
2. Sulphonamides
3. Penicillin
4. All

Correct answer: 1. Aminoglycosides